Which of the following is not due to genetic mutation -
1. Diabetes mellitus type II
2. Cystic fibrosis
3. Hemophilia
4. Alpha 1 antitrypsin deficiency

Correct answer: 1. Diabetes mellitus type II

Explanation: Ans. is 'a' i.e,, Diabetes meilitus type II o Disorders with multifactorial inheritance :# The multifactorial disorders result from the combined actions of environmental influences and two or more mutant genes having additive effects.o Multifactoriai disorders are:Cleft lip/cleft palateCoronary heart diseaseCongenital heart diseasesHypertensionDiabetes meilitus type IIGoutPyloric stenosiso Other options in question i.e. hemophilia, alpha-1 antitrypsin deficiency, and cystic fibrosis are due t genetic mutations.Note: Diabetes insipidus is X linked recessive disorder due to genetic mutation.